The combination of trimethoprima dn sulfamethoxazole is effective against which of the following opportunistic infections in the AIDS patient?
1. Disseminated Herpes simplex
2. Cryptococcal meningitis
3. Pneumocystis jiroveci
4. Tuberculosis

Correct answer: 3. Pneumocystis jiroveci

Explanation: (Ref: KDT 6/e p686, 687) Cotrimoxazole is effective against Pneumocystis and toxoplasmosis.